Commonest infantile testicular tumour is ?
1. Seminoma
2. Teratoma
3. Yolk sac tumor
4. Dysgerminoma

Correct answer: 3. Yolk sac tumor

Explanation: Ans. is 'c' i.e., Yolk sac tumoro Most common tumor of testis Seminoma.o Most common tumor of testis in childhood ---> yolk sac tumor (endodermal sinus tumor or infantile embryonal carcinoma).